Lutetium dotatate was approved by FDA in 2018 for
1. TB
2. Neuroendocrine tumours
3. Crohn's disease
4. Peptic ulcer

Correct answer: 2. Neuroendocrine tumours

Explanation: Lutetium (Lu 177) dotatate a radiolabeled somatostatin analogue, for the treatment of somatostatin receptor-positive gastroenteropancreatic neuroendocrine tumours (GEP-NETs), including foregut, midgut, and hindgut neuroendocrine tumours in adults.